An of the following can induce methemoglobinemia EXCEPT :
1. Nitroglycerine
2. Procaine
3. Prilocaine
4. Phenytoin

Correct answer: 4. Phenytoin